Lack of beta-oxidation of fatty acid leads to?
1. Oxidation of branched chain fatty acids
2. Phytanic acid accumulation
3. Dicarboxylic acid accumulation
4. Formation of propionic acid

Correct answer: 3. Dicarboxylic acid accumulation

Explanation: Lack of beta-oxidation of fatty acids leads to the accumulation of dicarboxylic acids. Dicarboxylic aciduria is caused by a lack of mitochondrial medium-chain acylCoA dehydrogenase. It is characterized by 1. Excretion of C -C o-dicarboxylic acids in the urine. 2.Nonketotic hypoglycemia Reference: Harper's Illustrated Biochemistry 31st edition Pg 215